Valve of heister is seen in
1. Cystic duct
2. Common bile duct
3. Common hepatic duct
4. Pancreatic duct

Correct answer: 1. Cystic duct

Explanation: Ans. is 'a' i.e., Cystic ductThe mucous membrane of the cystic duct forms a series of 5-12 crescentic folds, arranged spirally to form the so called spiral valve of Heister. This is not a true valve.Also knowHartmanns pouch - dilated posteromedial wall of neck of gall bladder.Sphincter choledochus - always present - terminal part of bile ductSphincter pancreaticus - usually present - terminal part of pancreatic ductSphincter ampullae (of Oddi) - surrounds the hepatopancreatic ampulla